Most common cause of low vision in pterygium?
1. Astigmatism
2. Retinal Detachment
3. Corneal ulcer and perforation
4. Myopia

Correct answer: 1. Astigmatism

Explanation: Ans. is 'a' i.e., Astigmatism Etiology & Clinical features in Pterygium -o Pterygium is more common in people with excess outdoor exposure to sunlight (UV rays), dry heat, high wind and abundance of dust. Therefore it is more common in those who work outdoorso Clinically it presents as a triangular fold of conjunctiva encroaching the cornea in the area of palpebral aperture, usually on the nasal side. Other findings are Stocker's line (deposition of iron)o Ptergyium is an asymptomatic condition in the early stages, except for cosmetic intoleranceo Visual disturbance or corneal astigmatism may occur. Visual disturbances are due to encroachment of pterygium on pupillary area or corneal astigmatism. Occasionally diplopia may occur due to limitation of ocular movements.